Percentage of cystic glandular hyperplasia turning to malignancy
1. 0.10%
2. 2%
3. 1%
4. 10%

Correct answer: 3. 1%

Explanation: WHO classification and Progression to Carcinoma
Percentage of cystic glandular hyperplasia turning to malignancy is 1%